Abductor of vocal cord is -
1. Posterior cricoarytenoid
2. Lateral cricoarytenoid
3. Cricothyroid
4. None of the above

Correct answer: 1. Posterior cricoarytenoid